Nerve involvement in Frey's syndrome is
1. Trigeminal
2. Mandibular
3. Aurico temporal
4. Lingual

Correct answer: 3. Aurico temporal

Explanation: Auriculotemporal nerve. Frey's syndrome(gustatory sweating) results from damage to the autonomic innervation of the salivary gland with inappropriate regeneration of the postganglionic parasympathetic nerve fibres of the auriculotemporal nerve that aberrantly stimulate the sweat glands of the overlying skin. Reference : Bailey & love, 27th Edition, page no = 794